Which has lowest incubation period
1. Mumps
2. Influenza
3. Measles
4. Chicken pox

Correct answer: 2. Influenza

Explanation: Ans. (b) InfluenzaRef: K. Park 23rd ed. /153DISEASECAUSATIVE ORGANISMINCUBATION PERIODMUMPSRNA Myxo Virus14 to 21 daysINFLUENZAOrthomyxo Virus18 to 72 hoursMEASLES (RUBEOLA)RNA Para myxo Virus10 to 14 daysCHICKEN POXHuman Herpes Virus 314 to 16 days